Zoonotic diseases are all except -
1. Typhoid
2. Anthrax
3. Rabies
4. Q fever

Correct answer: 1. Typhoid

Explanation: Enteric fever causing Salmonellae like S. Typhi and S. Paratyphi are exclusively human Pathogens.